Proximal walls in a class I tooth preparation for amalgam should
1. Converge occlusally
2. Diverge occlusally
3. Remain straight
4. Rounded

Correct answer: 2. Diverge occlusally